Which is a eukaryote:
1. Mycoplasma
2. Bacteria
3. Fungus
4. Chlamydia

Correct answer: 3. Fungus

Explanation: Prokaryotes – include bacteria and blue green algae
Eukaryotes – include fungi, algae (other than blue green), protozoa, helminths and slime moulds
See the table from the text for detail.